All are dermatological manifestations of dermatomyositis except -
1. Gottron's patches
2. Mechanic's hands
3. Periungual telangiectasia
4. Salmon Rash

Correct answer: 4. Salmon Rash

Explanation: Cutaneous features of dermatomyositis are heliotrope erythema , gottrons papules, gottrons sign, telangiectasia in nail fold , poikiloderma, mechanics hand , calcinosis cutis, shawl sign, holster sign Salmon rash is seen in adult onset stills disease.